Cryptococcal meningitis is common in:
1. Renal transplant recipient
2. A gamma globulinemia
3. Neutropenia
4. IgA deficiency

Correct answer: 1. Renal transplant recipient

Explanation: Ans. is 'a' i.e., Renal transplant recipientPredisposing factors of cryptococcal meningitis are AIDS, hematologic malignancies, transplant recipients and patients on immunosuppressive or steroid therapy.